Which infection is not common in HIV patients:
1. Cryptosporidiosis
2. Atypical mycobacterial infection
3. Aspergillosis
4. Candidiasis

Correct answer: 3. Aspergillosis

Explanation: Ans: c (Aspergillosis)Ref: Harrison, 16thed, p. 1189, 1 105, 1106, 1107, 1108 & 15th ed, p. 1178, 1880- 1884.